Binge eating disorder can be differentiated by bulimia nervosa by:
1. Lack of compensatory behaviour
2. Lack of weight gain
3. Presence of endocrine abnormalities
4. More common in men

Correct answer: 1. Lack of compensatory behaviour

Explanation: Binge eating disorder Bulimia nervosa: Most common eating disorders. There are episodes of binge eating not followed by any compensatory behavior The patients are obese. Characterized by episodes of binge eating followed by inappropriate ways of stopping weight gain, Purging (self-induced vomiting) May develop callusy knuckles, dental caries, parotitis, esophageal tear (rarely) Hypokalemia and Hypochloremia alkalosis. Normal weight